Potassium Iodide is used in the treatment of?
1. sporotrichosis
2. Impetigo
3. Dermatitis herpetiformis
4. Warts

Correct answer: 1. sporotrichosis

Explanation: Potassium Iodide(KI) is used in the treatment of sporotrichosis D.O.C is Itraconazole KI worsens Dermatitis Herpetiformis.